Which of the following antiplatelet drugs is a prodrug ?
1. Clopidogrel
2. Tirofiban
3. Aspirin
4. Dipyridamole

Correct answer: 1. Clopidogrel

Explanation: - Among the given options only Clopidogrel is a prodrug. Antiplatelet drugs which are prodrugs include clopidogrel and ticlopidine.